In plasmodium falciparum the number of cycles, the parasite undergoes in the liver is ?
1. 0
2. 1
3. 2
4. 3

Correct answer: 2. 1

Explanation: Ans. is 'b' i.e., 1 There is only pre-erythrocytic schizogony in falciparum malaria, exo-erythrocytic cycle is absent.